Mikulicz's disease presents as-
1. Enlargment of upper cervical lymph nodes
2. Enargement of parotid, submandibular salivary and lacrimal glands
3. Systemic illness with dary month, joint pain and feger
4. Fever, hepatosplenomegaly and lymphadenopathy

Correct answer: 2. Enargement of parotid, submandibular salivary and lacrimal glands

Explanation: MIKULICZ'S SYNDROME. This is characterised by inflammatory enlargement of lacrimal and salivary glands. The condition may occur with Sjogren's syndrome, or with some diseases like sarcoidosis, leukaemia, lymphoma and macroglobulinaemia. HARSH MOHAN Textbook of pathology 6th edition pg no 511